Paradoxical breathing is seen in:
1. Severe left ventricular failure
2. Diaphragmatic palsy
3. Metabolic acidosis
4. COPD

Correct answer: 2. Diaphragmatic palsy

Explanation: Ans: B i.e. Diaphragmatic palsy Types of breathing and condition Cheyne-Stokes respiration (cyclical pattern of respiration) is due to impaired responsiveness of the respiratory centre to carbon dioxide and occurs in severe left ventricular failure The diagnosis of unilateral diaphragmatic paralysis is suggested by elevation of the hemidiaphragm on chest X-ray and is confirmed by using USG screening to demonstrate paradoxical upward movement of the paralysed hemidiaphragm on sniffing Kussmaul respiration is a feature of metabolic acidosis